Prolonged allopurinol therapy in a patient with gout is not indicated for -
1. Acute gouty arthritis
2. Tophi
3. Urate nephropathy
4. Evidence of bone/joint damage

Correct answer: 1. Acute gouty arthritis

Explanation: Ans. is 'a' i.e., Acute gouty arthritis o "Allopurinol as well as uricosuries should not be started during acute attack of gout". - o Tophi, urate nephropathy and bone & joint damage are seen in chronic gout. o Allopurinol is the drug of choice for chronic gout.